Busulfan may cause:
1. Cystitis
2. Pulmonary fibrosis
3. Loss of hair
4. Peripheral neuropathy

Correct answer: 2. Pulmonary fibrosis

Explanation: Ans. B: Pulmonary Fibrosis Toxicity of busulphan may include: Interstitial pulmonary fibrosis Hyperpigmentation Seizures Hepatic (veno-occlusive disease) Wasting syndrome. Phenytoin may be used concurrently to prevent the seizures. Levetiracetam, has shown efficacy for the prophylaxis against busulfan-induced seizures. Benzodiazepines can also be used for busulfan-induced seizures.